Branches of left coronary artery are all of the following except:
1. Anterior interventricular branch
2. Left diagonal artery
3. Left atrial artery
4. Posterior interventricular branch

Correct answer: 4. Posterior interventricular branch

Explanation: The left coronary artery, which is usually larger than the right coronary artery, supplies the major part of the heart, including the greater part of the left atrium, left ventricle, and ventricular septum.It arises from the left posterior aortic sinus of the ascending aorta.It then enters the atrioventricular groove and divides into an anterior interventricular branch and a circumflex branch. BranchesThe anterior interventricular (descending) branch /left anterior descending (LAD) runs downward in the anterior interventricular groove to the apex of the heart.The anterior interventricular branch supplies the right and left ventricles with numerous branches that also supply the anterior part of the ventricular septum. One of these ventricular branches (left diagonal artery) may arise directly from the trunk of the left coronary artery.The left circumflex artery (LCX) is the same size as the anterior interventricular artery. It winds around the left margin of the heart in the atrioventricular groove. A left marginal artery is a large branch that supplies the left margin of the left ventricle down to the apex. Anterior ventricular and posterior ventricular branches supply the left ventricle. Atrial branches supply the left atrium.Posterior interventricular branch: It is typically a branch of the right coronary artery (80%, known as right dominance). Alternately, the Posterior interventricular branch can be a branch of the left circumflex coronary artery (20%, known as left dominance) which itself is a branch of the left coronary artery